Decreased leucocyte alkaline phosphatase is seen in-
1. CML
2. AML
3. Polycythemiavera
4. Myelofibrosis

Correct answer: 1. CML

Explanation: Ans. is 'a' i.e., CMLRemeber these two important cause of low leucocyte alkaline phosphataseo Chronic myeloid leukemia.o Paroxysmal nocturnal hemoglobinuria.Other conditions where leucocyte alkaline phosphatase might be decreasedo Aplastic anemiao Diabeteso Cirrhosis of livero Gouto Thrombocytopenic purpurao Hereditary hypophosphatasia